All of the following metabolic changes occur during prolonged fasting when compared with fasting for 12-24 hours, except:
1. Brain use of ketone bodies increases
2. Liver gluoneogenesis increases
3. Muscle protein degradation decreases
4. Brain use of glucose decreases

Correct answer: 2. Liver gluoneogenesis increases

Explanation: B i.e. Liver gluoneogenesis increases